Contents of Ringer's lactate are all except:
1. Sodium ion
2. Potassium ion
3. Chloride ion
4. Bicarbonate ion

Correct answer: 4. Bicarbonate ion

Explanation: Ans. D: Bicarbonate ion One litre of lactated Ringer's solution contains: 130 mEq of sodium ion = 130 mmol/L 109 mEq of chloride ion = 109 mmol/L 28 mEq of lactate = 28 mmol/L 4 mEq of potassium ion = 4 mmol/L 3 mEq of calcium ion = 1.5 mmol/L